Epipharynx is also called-
1. Nasopharynx
2. Oropharynx
3. Laryngopharynx
4. Hypopharynx

Correct answer: 1. Nasopharynx

Explanation: Ans. is 'a' i.e., Nasopharynx Epipharvnx / Nasophavnxo The part of the pharynx that lies above the soft palate; anteriorly it opens into the nasal cavities through the choanae;inferiorly, it communicates with the oropharynx through the pharyngeal isthmus; laterally it communicates withtympanic cavities through pharyngotympanic (auditory) tubes.